Amongst the following fats and oils, highest proportion of poly unsaturated fatty acids (PUFA) is found in -
1. Groundnut oil
2. Coconut oil
3. Safflower oil
4. Butter

Correct answer: 3. Safflower oil

Explanation: Essential fatty acids: Those that cannot be synthesised by humans.They can be derived from food only. The most important essential fatty acid is linoleic acid, which serves as the basis for production of other essential fatty acids( linolenic and arachidonic acid) . Not all PUFA are essential fatty acids. Linoleic acid:- dietary source and per cent content . Safflower oil- 73 Corn oil- 57 Sunflower oil-56 Soyabean oil-51 Sesame oil-40 Ground nut oil-39 Mustard oil -15 Palmoil- 9 Coconut oil- 2 Eichosapentanoic acid: Fish oil: 10 % present. Linolenic acid : Soyabean oil-7 {Reference: Park's textbook of community medicine 23 rd edition, pg no. 611}